All of the following are true regarding Tetralogy of Fallot except –
1. Ejection systolic murmur in second intercostal space
2. Single second heart sound
3. Predominantly left to right shunt
4. Normal jugular venous pressure

Correct answer: 3. Predominantly left to right shunt

Explanation: Hemodynamics of Tetralogy of Fallot 

The severity of obstruction to the right ventricular outflow determines the direction of blood flow.